The Hamilton Norwood scale is used for:
1. Male androgenetic alopecia
2. Female androgenetic alopecia
3. Alopecia areata
4. Telogen effluvium

Correct answer: 1. Male androgenetic alopecia

Explanation: Ludwig scale is used in female pattern hair loss. The most common pattern of hair loss seen in women is diffuse reduction of hair density over the crown, so-called Christmas-tree pattern, with widening of the central paing line. Ref: Rook's textbook of dermatology, Edition-8, Page-66.18.